Gnarled enamel is seen in:
1. Proximal surface of tooth
2. Cervical region of tooth
3. Cusp tips of tooth
4. All of the above

Correct answer: 3. Cusp tips of tooth